All of the following interventions are recommended to prevent mother to child transmission of HIV, except:
1. Avoid breast feeding
2. Highly Active Antiretroviral Therapy (HAART)
3. Vaginal delivery
4. Intrapartum Zidovudine

Correct answer: 3. Vaginal delivery

Explanation: For HIV-infected mothers, a scheduled cesarean delivery at 38 weeks can reduce the risk of mother - to - child transmission of the virus. If, before her scheduled cesarean delivery, rupture of membranes or she goes into labor, a cesarean delivery may not reduce the risk of mother to-child transmission of HIV. Ref: Recommendations for Use of Antiretroviral Drugs in Pregnant HIV-1-Infected Women By Michael A. Stoto, Donna A. Almario, Institute of Medicine (U.S.). Committee on Perinatal Transmission of HIV, National Research Council (U.S.). Board on Children, Youth, and Families, Pages 358-360.